Aspirin hypersenstitivity is seen along with -
1. Laryngeal papilomatosis
2. Nasal Polyposis
3. Sarcoid Granuloma
4. Otitis media

Correct answer: 2. Nasal Polyposis

Explanation: Ans. is 'b' i.e., Nasal polyposis Samter's triad consists of Nasal polypi, bronchial asthma and aspirin sensitivity.